Soiling index is used for Quaity assessment of:-
1. Water
2. Air
3. Soil
4. Noise

Correct answer: 2. Air

Explanation: AIR POLLUTION INDICATORS; CO2, CO, SO2, NO2, Air pollution index Soiling index Coefficient of haze SPM Overall best air pollution indicator/ Overall best chemical indicator is SO2. Best biological indicator of air pollution - LICHENS. Air pollution monitoring - CPCB.(Central pollution control board)